At the end of 1 year of age, the number of carpal bones seen in the skiagram of the hand is –
1. Nil
2. 1
3. 2
4. 3

Correct answer: 3. 2